Hallucinations are commonly seen with:
1. Ketamine
2. Halothane
3. Ether
4. Cyclopropane

Correct answer: 1. Ketamine

Explanation: Ketamine